Which of the following pontic appears as it is arising from the ridge like a natural tooth and it is said to have evolved from root extended or root tipped pontics:
1. Spheroidal pontic.
2. Bullet shaped pontic.
3. Ovate pontic.
4. Ridge lap pontic.

Correct answer: 3. Ovate pontic.

Explanation: Ovate pontics 
These pontics are used in cases, where the residual ridge is defective or incompletely healed.They can also used in broad and flat ridges. The pontic is designed such that its cervical end extends into the defect of the edentulous ridge. The pontics should be reduced as healing progresses, as it appears to arise from the ridge like a natural tooth. It is said to have evolved from root extended or root tipped pontics.